Cloudy swelling occurs in following organs, EXCEPT:
1. Kidney
2. Liver
3. Adrenals
4. Lungs

Correct answer: 4. Lungs

Explanation: Cloudy swelling occur in kidney, liver, adrenals, and heart. It does not occur in lung. The involved organ looks enlarged and pale. The cut surface is hazy. The cells are swollen and cytoplasm shows albuminous granules soluble in acetic acid. Cloudy swelling is the commonest form of degeneration caused by acute fever, bacterial infections, chemical poisons and malnutrition. Cloudy swelling results from disturbance in protein and water metabolism resulting in increased intracellular colloidal osmotic pressure. Ref: A guide to pathology By K. Chaudhry page 24.